Apatient has acute abdominal pain with blood and mucus in stool with palpable mass per abdomen is due to -
1. Meckels diverticulum
2. Volvulus
3. Intussusception
4. Hypertrophic pyloric stenosis

Correct answer: 3. Intussusception

Explanation: Ans is (c) Intussusception A syndrome of colicky pain, passage of blood per rectum and a palpable mass (the intussuscepted segment) is characteristic of intussusception.